HTLV-1 is also known as:
1. HIV
2. ATLV
3. RSV
4. ALV

Correct answer: 2. ATLV

Explanation: Ans. b. ATLV